Pulmonary Chemo-reflex is characterized by?
1. Reflex bradycardia
2. Rise in blood pressure
3. Reflex tachycardia
4. Pulmonary oligaemia

Correct answer: 1. Reflex bradycardia

Explanation: Ans. A Reflex bradycardiaRef: Ganong, 25th ed. pg. 662Pulmonary Chemo-Reflex Consists of:Q1.Apnea followed by Rapid breathing2.Bradycardia3.HypotensionIt is caused by Stimulation of J receptors by intravenous or intra-cardiac administration of chemicals like capsaicin.